All of the following are reducing sugars except
1. Glucose
2. Lactose
3. Maltose
4. Sucrose

Correct answer: 4. Sucrose